Thrombocytopenia due to increased platelet destruction is seen in -
1. Aplastic anemia
2. Cancer chemotherapy
3. Acute leukemia
4. Systemic lupus erythematosus

Correct answer: 4. Systemic lupus erythematosus

Explanation: Ans- D. Sle is associated with autoimmune destruction of platelets whereas cancer chemotherapy causes aplastic anaemia not platelet destruction